Epidemic dropsy is due to -
1. BOAA
2. Aflatoxin
3. Argemone oil
4. None

Correct answer: 3. Argemone oil

Explanation: The contamination of mustard with argemone oil results in epidemic dropsyREF.PARK'S TEXTBOOK OF PREVENTIVE AND SOCIAL MEDICINE.Editon-21.Page no.-608.